Allopurinol is used in treatment of:
1. Rheumatoid arthritis
2. Psoriatic arthritis
3. Gouty arthritis
4. Poly sero arthritis

Correct answer: 3. Gouty arthritis

Explanation: Ans. is 'c' i.e., Gouty arthritis* Allopurinol is a hypoxanthine analogue which was synthesized as a purine anti metabolite.* Allopurinol is xanthine oxidase inhibitor.* Uses:# Allopurinol is the first choice drug for chronic gout. It can be used for both over producers as well as under excretors of uric acid.# With long term allopurinol therapy, tophi gradually disappear and nephropathy is halted and even reversed.* Allopurinol is contraindicated in acute gout because a sudden decrease in urate levels may precipitate re - crystallization in the joints.* Other uses# Allopurinol may be used in some cases of kala azar or leishmaniasis but efficacy is doubtful.